In Wegener's granulomatosis cytoplasmic anti neutrophilic antibodies are directed against
1. Proteinase 1
2. Proteinase 2
3. Proteinase 3
4. Proteinase 4

Correct answer: 3. Proteinase 3

Explanation: Wegener granulomatosis is a necrotizing vasculitis characterized by a specific triad of findings: * Granulomas of the lung and/or the upper respiratory tract (ear, nose, sinuses, throat) * Vasculitis of small to medium-sized vessels (capillaries, venules, arterioles, and arteries), most prominently in the lungs and upper respiratory tract * Glomerulonephritis PR3-ANCAs are present in almost 95% of cases and probably drive the subsequent tissue injury; they also are useful markers of disease activity. (Robbins basic pathology,9th edition.pg no.353)